Hemoglobin dissociates into bilirubin forming the following intermediate product:
1. Biliverdin
2. Bilirubin diglucuronide
3. Urobilin
4. Stercobilin

Correct answer: 1. Biliverdin